Toxicity due to which of the following can be successfully treated with Atropine?
1. Inocybe
2. Isoxazole
3. A.phalloides
4. Galerina

Correct answer: 1. Inocybe

Explanation: Ans. a (Inocybe) (Ref. KDT, Pharmacology, 6th ed., 77)# MUSCARINE occurs in poisonous mushrooms Amanita muscaria and Inocybe species and has only muscarinic actions. It is not used therapeutically but is of toxicological importance.MUSHROOM POISONING# Muscarine type (Early mushroom poisoning): due to Inocybe and related species. Symptoms characteristic of muscarinic actions appear within an hour of eating the mushroom, and are promptly reversed by atropine.# Anticholinergic/hallucinogenic type: It is due to isoxazole compounds, which are present in A. muscaria and related mushrooms in much larger quantities than is muscarine. These have anticholinergic and hallucinogenic properties. Manifestations are primarily central. There is no specific treatment and atropine is contraindicated.# Phalloidin type (Late mushroom poisoning): It is due to peptide toxins found in A. phalloides, Galerina and related species. These inhibit RNA and protein synthesis. The symptoms start after many hours and are due to damage to the gastrointestinal mucosa, liver and kidney. Treatment consists of supportive measures; thiotic acid may have some antidotal effect.# ARECOLINE- It is found in betel nut Areca catechu.- It has muscarinic as well as nicotinic actions including those on skeletal muscle endplate.- It also has prominent CNS effect: has been tried in dementia as an enhancer of cognitive functions, but not found useful--has no therapeutic use.# OXOTREMORINE- It is a synthetic compound, which particularly stimulates central muscarinic receptors; produces tremors and other parkinsonism like extrapyramidal effects. It has been used as an experimental tool only.